All are common in Down syndrome, except –
1. Simian crease
2. Clinodactyly
3. Mother's age > 35 years
4. Respiratory tract infection uncommon

Correct answer: 4. Respiratory tract infection uncommon

Explanation: Chronic rhinits, conjunctivitis and periodontal disease are common in Down's syndrome.
Lower respiratory tract infections pose a threat to life.
Pneumonias are common in patients with Town's syndrome.